After mixed dentition stage, the arch length from first molar to first molar usually:
1. Remains same
2. Increases
3. Decreases
4. Double

Correct answer: 3. Decreases

Explanation: Decrease in arch length : The arch decreases in the mixed and permanent dentition stages as a result of the uprighting of the incisors and the loss of the leeway space by the mesial movement of the first permanent molars.
Text book of orthodontics Gowrishankar 1st Ed P:92